True about malignant hyperthermia is all except
1. Most common cause is Sch
2. Dantrolene is the drug of choice
3. End tidal CO, is increased
4. Bradycardia occurs

Correct answer: 4. Bradycardia occurs

Explanation: Ans. is 'd' i.e., Bradycardia